Hyponasal voice is seen in all except
1. Adenoids
2. Nasal Polyp
3. Cleft palate
4. Habitual

Correct answer: 3. Cleft palate

Explanation: Causes of hyponasality are Common cold Nasal allergy Nasal polyp Nasal growth Adenoids Nasopharyngeal mass Familial speech pattern Habitual Ref: PL Dhingra; Textbook of EAR, NOSE and THROAT; edition 7; Page - 357